Perinatal prevention of mother to child, which of the following steps are useful –
1. Elective Caesarian section
2. Avoid breast feeding
3. ART prophylaxis
4. All of these

Correct answer: 4. All of these